The treatment of a case with virilizing adrenal hyperplasia is :
1. Estrogens
2. Antiandroens
3. ACTh
4. Cortisone

Correct answer: 4. Cortisone

Explanation: Hydrocortisone 10-20mg/m2 of body surface area per day is given to supress the excess ACTH secretion. Mineralocorticoids is also given in cases with 21-hydroxylase-defeciency. Cases with salt loss must be replaced carefully.Thereafter a long term therapy with corticosteroids is essential to suppress the adrenocortical hyperfunction. Ref: D.C.DUTTA'S TEXTBOOK OF GYNAECOLOGY; 6th edition; Pg no:445